Non pitting edema is seen in ?
1. Congestive cardiac failure
2. Myxedema
3. Liver failure
4. Renal failure

Correct answer: 2. Myxedema

Explanation: A consequence of prolonged hypothyroidism is increased dermal infiltration of glycosaminoglycans (mucopolysaccharides, hyaluronic acid and chondroitin sulphate) which traps water, giving rise to skin thickening without pitting (myxedema). Typical features include a puffy face with edematous eyelids and nonpitting pretibial edema. Reference : page 2291 Harrison's Principles of Internal Medicine 19th edition and page 743 Davidson's Principles and practice of Medicine 22nd edition